Nieman pick disease is due to deficiency of -
1. Sphingomyelinase
2. Ceramidase
3. Galactosidase
4. Glucosidase

Correct answer: 1. Sphingomyelinase

Explanation: Ans. is 'a' i.e., Sphingomyelinase